Which of the following is not a presumptive sign of pregnancy -
1. Jacquemier's sign
2. Dalrymple sign
3. Hegar's sign
4. Palmer's sign

Correct answer: 2. Dalrymple sign

Explanation: Ans. is 'b' i.e., Dalrymple's sign o The following are presumptive signs for diagnosis of pregnancy:# Breast changes: Enlargement with vascular changes with delicate veins visible under the skin.# Jacquemier's sign/Chadwick's sign: Dusky hue of the vestibule and anterior vaginal wall, due to local congestion.# Osiander's sign: Increased pulsation felt through the lateral fomices at 8th week.# GoodelVs sign : Cervix becomes soft as early as 6th week.# Piskacek's sign : Assymetrical enlargement of the uterus if there is lateral implantation.# Hegar's sign: Approximationo of fingers placed on the abdomen and in the anterior fornix.# Palmer's sign: Regular, rhythmic uterine contraction during bimanual examination